A 20 year old male has been admitted to ICU for diabetic ketoacidosis (DKA). His mother gives history that his thirst has increased lately & he goes to loo frequently. He has not been diagnosed with diabetes previously. There is no family history of diabetes. His BMI is 42 kg/m2. Anti-GAD antibodies and anti-islet cell antibodies (ICA) are not detected in this patient. Which of the following statements is true regarding this patient?
1. Due to the young age of onset, type 1 diabetes is suspected.
2. Due to your presentation with diabetic ketoacidosis, type 1 diabetes is suspected
3. Patient has maturity-onset diabetes of the young.
4. Patient has type 2 diabetes mellitus.

Correct answer: 4. Patient has type 2 diabetes mellitus.

Explanation: Features of type 2 diabetes: Usually develops after the age of 30 years Patients are usually obese May not require insulin therapy initially Associated with insulin resistance, hypertension, cardiovascular disease, dyslipidemia, or PCOS. Age should not be the sole basis for determining the type of diabetes present. Age of diagnosis of T2DM is declining as obesity is increasing among children and adolescents. Some individuals with phenotypic T2DM present with diabetic ketoacidosis but lack autoimmune markers. Maturity-onset diabetes of the young- diabetes onset at <30 years of age, an autosomal pattern of diabetes inheritance (which this patient lacks), and the lack of nearly complete insulin deficiency